All of the following are true of Reye's syndrome, except
1. It frequently complicates viral infections
2. Prothrombin time is prolonged
3. Disease may be precipitated by salicylates
4. Deep jaundice is present

Correct answer: 4. Deep jaundice is present

Explanation: Reye's Syndrome (Fatty Liver with Encephalopathy)Acute illness, encountered exclusively in children <15 yearsOnset usually follows an upper respiratory tract infection, especially influenza or chickenpoxCharacterized clinically by:VomitingSigns of progressive CNS damageSigns of hepatic injuryHypoglycemiaCause is unknown, although viral agents and salicylates have been implicated (however, this illness can occur in absence of exposure to salicylates)The liver is enlarged, but jaundice is characteristically absent or minimalMoality rate in Reye's syndrome is approx. 50%HistopathologyLaboratory findingsMorphologically, extensive vacuolization of the liver and renal tubulesMitochondrial dysfunction with decreased activity of hepatic mitochondrial enzymes with structural alterations of mitochondria in the liver, brain, and muscle In fatal cases, the liver is enlarged and yellow with striking diffuse fatty micro vacuolization of cells.Major extra-hepatic changes are fatty changes of the renal tubular cells, cerebral oedema and neuronal degeneration of the brainRaised aminotransferases& PT3Hypoglycemia Metabolic acidosisElevated serum ammonia levelTreatmentInfusion of 20% glucose and fresh frozen plasma IV. mannitol to reduce cerebral oedema(Refer: Harrison's Principles of Internal Medicine, 18thedition, pg no: 147, 1463 & 1465)